Retro pharyngeal space extends up to which of the following level?
1. Base of skull to C6 vertebra
2. Base of skull to bifurcation of trachea
3. Base of skull to the level of diaphragm
4. Base of skull to cricoid cartilage

Correct answer: 2. Base of skull to bifurcation of trachea

Explanation: (Refer: P. L. Dhingra’s Diseases of Ear, Nose and Throat & Head and Neck Surgery, 6th edition, pg no: 265)